All of the following are the features of formocresol used as pulpotomy agent except:
1. It bind reversibly.
2. Small droplet has deeper penetration.
3. It does not cross the apex.
4. It is carcinogenic.

Correct answer: 3. It does not cross the apex.

Explanation: formocresol crosses the apex.